Adrenaline is added to Lignocaine injection for:
1. Less bleeding at the site
2. Higher doses can be given
3. Prolonged duration of action
4. All of the above

Correct answer: 4. All of the above

Explanation: Ans. D: All of the above Adrenaline is a local vasoconstrictor, so using adrenaline only with short acting agents such as Lignocaine has advantages, like: Less bleeding at the site (local infiltration). Less systemic absorption, and consequently lower toxicity and possibility of giving a higher dose. Prolonged duration of action.